Complement having cell lytic property ?
1. MAC
2. C3b
3. C3a
4. C5a

Correct answer: 1. MAC

Explanation: Ans. is 'a' i.e., MAC